Deltoid muscle causes all EXCEPT:-
1. Flexion of shoulder
2. Extension of shoulder
3. Internal rotation of shoulder
4. Adduction of shoulder

Correct answer: 4. Adduction of shoulder

Explanation: Deltoid muscle fibres Movements Middle (lateral) fibres abductor at shoulder joint Anterior fibres flexion and medial rotation Posterior fibres extension & lateral rotation